Which of the following is the best predictor for future risk of cardiovascular events?
1. hs CRP
2. Interleukin 6
3. Lipoprotein 'a'
4. Homocysteine

Correct answer: 1. hs CRP

Explanation: CRP is made in the liver in response to excess triglyceride storage. Elevated CRP levels>3mg/l using a high sensitive assay is associated with an increased risk of CHD. Another useful marker is lipoprotein associated phospholipase A2(LpPLA2). It is made by macrophages in response to excess cholesterol storage. Its level when >270ng/ml is associated with CHD. Ideal value for CRP is <2mg/l and for LpPLA2 is < 200ng/ml. Ref: Glycemic Control in Hospitalized Patients By Lillian Lien, Page 38; High Density Lipoproteins, Dyslipidemia and Coronary Heart Disease By Ernst J. Schaefer, Pages 186-7